Which of the following drug deposted in the retina is
1. Isoniazid
2. Chloroquine
3. Rifampicine
4. Pyrizinamide

Correct answer: 2. Chloroquine

Explanation: (Chloroquine) (786-KDT 6th)* Chloroquine - Its selective accumulation in retina is responsible for the occular toxicity seen with prolonged use